Which of the following is TRUE about paraesophageal hernia?
1. Surgery is indicated in all symptomatic cases
2. In Paraesophageal type reflux is more common
3. Paraesophageal type is the most common type of congenital hernia
4. There is upward displacement of the cardioesophageal junction

Correct answer: 1. Surgery is indicated in all symptomatic cases

Explanation: Sliding hernia is the most common type of hernia and this type of hernia is associated with upward displacement of cardioesophageal junction. In paraesophageal type of hernia the cardioesophageal junction is undisplaced. Since the gastroesophageal junction is located and function normally in most of hernia, thereby reflux is uncommon in paraesophageal type of hernia. "Surgical correction is indicated only in symptomatic paraesophageal hernias" Ref: CSDT 13/e, Page 439-41 ; Schwartz 9/e, Page 482-85 ; Maingot's 11/e, Page 203-05